Satiety centre is located at-
1. Ventromedial nucleus of hypothalamus
2. Dorsomedial nucleus of hypothalamus
3. Peritrigonal area
4. Lateral nucleus

Correct answer: 1. Ventromedial nucleus of hypothalamus

Explanation: Ans. is 'a' i.e., Ventromedial nucleus of hypothalamus * Satiety center - Ventromedial nucleus of hypothalamus.* Feeding center - Lateral nucleus of hypothalamus.